Lactose intolerance in a suspected patient is diagnosed by giving an oral load and measuring concentrations of ?
1. CO2
2. H2
3. One/two carbon compounds
4. N2

Correct answer: 2. H2

Explanation: Hydrogen breath test is used for lactase deficiency and secondary lactose intolerance.